Hallucinations are seen after ............... anaesthesia :
1. Ketamine
2. Thiopentone
3. Fentanyl
4. Nitrous oxide

Correct answer: 1. Ketamine